Lowest Glycemic index is present in -
1. Potatoes
2. Brown rice
3. Bananas
4. Ice cream

Correct answer: 4. Ice cream

Explanation: Ans. is 'd' i.e., Ice cream FoodsGlycemic indexo Potatoes, Cornflakes80-90o Whole wheat bread, white rice70-79o Brown rice, bananas60-69o Buckwheat, Frozen peas50-59o Peas, beans40-49o Many legumes, milk, ice cream, peanuts<40